Which of the following has highest potential to cause metabolic syndrome ?
1. Clozapine
2. Risperidone
3. Quetiapine
4. Aripiprazole

Correct answer: 1. Clozapine